Which of the following surface glycoproteins is most often expressed in human hematopoietic stem cell (HSC)?
1. CD23
2. CD30
3. CD33
4. CD34

Correct answer: 4. CD34

Explanation: Surface antigen/Marker Normal cellular distribution CD34 Pluripotent hematopoietic stem cells & progenitor cells of many lineages. CD23 Activated mature B cells CD30 Activated B cells, T cells, and monocytes; Reed-Sternberg cells and variants CD33 Myeloid progenitors and monocytes